All are complications of typhoid ulcers except
1. Perforation
2. Stricture formation
3. Hemorrhage
4. Sepsis

Correct answer: 2. Stricture formation

Explanation: Refer Robbins page no Pg 789 Typhoid fever is a systemic infection causedby the bacterium Salmonella enterica subspecies enterica serotype typhi, which is acquired by ingestion of contaminated food and water Many complications have been described, of which gastrointestinal bleeding, intestinal perforation, andtyphoid encephalopathy are the most important . Gastrointestinal bleeding is the most common symptom and it occurs in up to 10% of patients.